Muscle pain after day care surgery with propofol and Sch which one is responsible?
1. SCH
2. Propofol
3. Surgery
4. Early ambulation

Correct answer: 1. SCH

Explanation: Ref. Oxford textbook of anesthesia. Page. 536
 
Side Effects of Sch

Muscle fasciculations and soreness,
Changes in bp and hr,
Arrhythmias,
Histamine
Release and k+ efflux from muscles à  hyperkalaemia and its complications
Risk of regurgitation and aspiration of gastric contents is increased by sch in gerd patients and in the obese
Accentuates malignant hyperthermia